Quantitative assessment of liver function can be done by:
1. Degree of | Transaminases
2. Degree of |Alkaline phosphatase
3. Degree of | GGT
4. Estimation of Galactose Elimination capacity

Correct answer: 4. Estimation of Galactose Elimination capacity

Explanation: Answer is D (Estimation of Galactose Elimination capacity): Estimation of Galactose Elimination capacity (GEC) is an example of quantitative liver tests Liver Function tests Non quantitative Tests for Liver Function Although generally termed as Liver function tests, these are either not related to function or only reflect given aspects of liver function and are not over all parameters of latter These Include Serum Bilinthin Serum Alkaline phosphatase Serum Transminases Serum Bile Acids Serum Albumin Serum prothrombin time, etc Quantitative tests for Liver Function Quantitative tests for Liver function measure the true functional reserve of the liver These Include Galactose Elimination capacity Urea synthesis capacity Inducyanine clearance Sorbitol clearance caffeine clearance Aminopvrine Breath test Ketoisocaproic acid breath test